All of the following are an example of Indicator media EXCEPT:
1. Blood agar
2. Eosin methylene blue (EMB)
3. MacConkey (MCK)
4. Stuart media

Correct answer: 4. Stuart media

Explanation: Ans. (d) Stuart mediaRef.: Microbiology by Ananthanarayan and Paniker 8th ed. / 40, 43INDICATOR MEDIA* It is also known as differential media which distinguishes one microorganism type from another growing on the same media.* This type of media is used for the detection of microorganisms and by molecular biologists to detect recombinant strains of bacteria.* Examples of differential media include:# Blood agar# Eosin methylene blue (EMB)# MacConkey (MCK)# mannitol salt agar (MSA)TRANSPORT MEDIAExamples of Transport Media Include* Thioglycolate broth for strict anaerobes* Stuart transport medium - a non-nutrient soft agar gel containing a reducing agent to prevent oxidation, and charcoal to neutralize* Certain bacterial inhibitors- for gonococci, and buffered glycerol saline for enteric bacilli.* Venkat-Ramakrishnan (VR) medium for V. cholerae.